Postnatally when is the growth velocity maximum ?
1. In the first year of life
2. In the second year of life
3. In the seventh year of life
4. In adolescence

Correct answer: 1. In the first year of life

Explanation: Growth follows a sigma shaped curve.
The fetus grows fast in the first half of gestation, thereafter the rate of growth is slowed down till the baby is born.
In the early postnatal period velocity of growth is high during the first few months.
A second phase of accelerated growth is during puberty.